middle aged man with a swelling over the scalp since childhood Neck swelling has a bag of worm appearance Bruit heard over the swelling Dx is
1. Plexiform neurofibroma
2. Toxic nodular goitre
3. Varicocele
4. cirsoid aneurysm

Correct answer: 4. cirsoid aneurysm

Explanation: ref : bailey and love 27th ed